Not used for erectile dysfunction ?
1. Beta-blockers
2. Sildenafil
3. PG-E
4. Papaverine

Correct answer: 1. Beta-blockers

Explanation: Ans. is 'A' i.e., Beta-blockersDrugs used for erectile dysfunction1. Phosphodiesterase-5 inhibitors (Sildenafil, Tadalafil, Vardenafil).By inhibiting PDE-5, these drugs prevent degradation of cGMP and potentiate the action of NO.These are the DOC for pharmacological therapy of erectile dysfunction.2.Alprostadil (Prostaglandin E1)It is a powerful vasodilatorIt acts by increasing arterial inflow by vasodilation and reducing outflow by contracting the corporal smooth muscle that occludes draining venules.It is the DOC for patients not responding to PDE-5 inhibitors.It is directly injected into corpora cavernosa.3. PapaverineIt is a nonspecific phosphodiesterase inhibitor.Injection of papaverine with or without phentolamine into corpus cavernosum produces penile tumescence to permit intercourse.The repeated injection can cause penile fibrosis.4.AndrogensIt can be used when androgen deficiency is demonstrated to be responsible for the loss of libido and erectile dysfunction.5.Apomorphine (Laurence 9th/e p. 546)A dopamine antagonist is given by subcutaneous injection.